Sebborhoic Dermatitis is produced by deficiency of:
1. Vitamin C
2. Vitamin B1
3. Vitamin B2
4. Vitamin A

Correct answer: 3. Vitamin B2

Explanation: Vitamin B2 deficiency: Riboflavinosis is characterized by following clinical manifestations: Corneal vascularization - earliest sign of deficiency. Glossitis - inflammation of tongue (magenta tongue- characteristic), Cheilosis - redness and shiny appearance of lips. Angular stomatitis- lesions at mucocutaneous junction at corners of mouth, leading to painful fissures. Seborrhoic dermatitis - rough scaly skin because of desquamation.